True about deep palmar arch ?
1. Main contribution is by ulnar artery
2. Lie superficial to lumbricals
3. Gives three perforating branches
4. Gives four palmar metacarpal arteries

Correct answer: 3. Gives three perforating branches

Explanation: Deep palmar archIt lies across the base of metacarpal bones. It is formed mainly by radial artery and completed by deep branch of ulnar artery. Its branches are :-Three palmar metacarpal arteries on the II, III and IV palmar interossei muscles to join the digital branches of superficial palmar arch.Three perforating arteries :- Anastomose with dorsal metacarpal arteries.Recurrent branches :- Supply carpal bones and join palmar carpal arch.The deep palmar arch lies deep to the oblique head of adductor pollicis, long flexor tendon and lumbrical muscles and passes across the base of metacarpal and interossei.